Range of kuppu swami scale for upper middle class:
1. 26-29
2. 16-25
3. 16-26
4. 26-30

Correct answer: 2. 16-25

Explanation: Ans. (b) 16-25Ref: K. Park 23rd ed. / 690MODIFIED KUPPUSWAMI SCALE: Scale of socio- economic status of urban families, includes Education status of head, occupation status of head, Income per capita.Total score of 3 componentsSocioeconomic class* 26-29* 16-25* 11-15* 05-10* 03-04UpperUpper-middleLower-middleUpper-lowerLower